All of these are true for home bleaching technique, except:
1. Dentist prescribed home technique
2. It contains 10-15% carbamide peroxide
3. Bleaching both arches at one time is preferred
4. Patient compliance is needed

Correct answer: 3. Bleaching both arches at one time is preferred

Explanation: HOME BLEACHING TECHNIQUE/NIGHT GUARD BLEACHING
Commonly used solution for night guard bleaching 

10% carbamide peroxide with or without carbopol. 
15% carbamide peroxide.
Hydrogen peroxide (1-10%). 

Key concept: 
Bleaching would be done only one arch at a time.